Fast breathing in a 3 year old child is?
1. > 60
2. >50
3. >40
4. >30

Correct answer: 3. >40

Explanation: ANSWER: (C) > 40REF: OP Ghai 7th ed p. 356According to WHO fast respiratory rate:>60/ min< 2 months> 50/min2-12 months>40/min12-60 months